1729. A 28 yr old female presented with malaise and generalised weakness since 6 month. Her appetite Is reduced and she has giddiness and palpitations on and off. There was no organomegaly. Laboratory Study showed normochromic to hypochromic anaemia and MCV-80. What Is the diagnosis
1. Thalassemia minor
2. Iron deficiency anaemia
3. Chronic malaria
4. Folate deficiency

Correct answer: 2. Iron deficiency anaemia

Explanation: Iron deficiency anemia is much more common in women between the age of 20 & 45 yrs than in men.The onset of this anemia is generally slow .The usual symptoms are weakness ,fatigue ,palpitations ,dyspnoea on exertion & pallor of skin, sclera & mucous membrane.

Also MCV will be less than 80fl in iron deficiency anemia .

Reference :Harsh mohan textbook of pathology sixth edition pg no 298.